Lysosomal accumulation of sphingomyeline is seen in-
1. Niemann-Pick disease
2. Farber's disease
3. Tay Sach's disease
4. Krabbe's disease

Correct answer: 1. Niemann-Pick disease

Explanation: Ans. is 'a' i.e., Niemann-Pick disease DiseaseEnzyme deficiencyLipid accumulatedTay-sach diseaseHexosaminidase AGM2 gangliosideSandoff diseaseHexosaminidase BGM2 gangliosideNiemann-Pick diseaseSphingomyelinaseSphingomyelineFarber's diseaseCeramidaseAcyl-sphingosine (ceramide)Fabry's diseasea-galactosidaseGlobotrisylceramideKrabbe's diseaseb-galactosidase (Galactosylceramidase)GalactosylceramideGaucher's diseaseb-glucosidase (glucocerebrosidase)GlucosylceramideMetachromatic leukodystrophyArylsulfatase A3-Sulfogalactosylceramide